Which among the following is it best inotrope drug for use in right heart failure
1. Dobutamine
2. Digoxin
3. Dopamine
4. Milrinone

Correct answer: 4. Milrinone

Explanation: (Ref Goamnan and Gilman, 11/e p575, inotropic drugs are not used for treatment of right sided where the major treatment is diuretics and vasodilators. Milriinone being a phosphodiesterase inhibitor act as an inodilator. Thus, this is the only inotropic drug that should be used in right sided failure due to its ablity to produce vasodilation. It is indicated in right heart failure with pulmonary hypertension.